According to CDC recommendations, HIV screening of pregnant women is
1. Opt in testing
2. Opt out testing
3. Compulsory
4. Symptomatic

Correct answer: 2. Opt out testing

Explanation: Opt-out testing means performing an HIV test after notifying the patient that the test is normally performed, but that the patient may elect to decline or defer testing; consent is then assumed unless the patient declines to test. WHO and CDC recommend opt-out testing policies in healthcare settings. Reference: HIV testing guidelines,CDC Atlanta.